Media commonly used for distension in hysteroscopy is:
1. Oxygen
2. Carbon dioxide
3. Nitrous oxide
4. Hydrogen

Correct answer: 2. Carbon dioxide

Explanation: Ans. B: Carbon dioxide The media in common usage for hysteroscopy include carbon dioxide gas delivered through the hysteroflator at a maximum rate of 70 ml/ min and pressure less than 100 mm Hg